Styalgia is also called as -
1. Eagle syndrome
2. Costen's syndrome
3. Sluder syndrome
4. Ramsay Hunt syndrome

Correct answer: 1. Eagle syndrome